A 30 year old pregnant woman develops tuberculosis. Which of the following antitubercular drugs should not be used
1. INH
2. Rifampicin
3. Streptomycin
4. Ethambutol

Correct answer: 3. Streptomycin

Explanation: Refer KDT 6/e p 748 Streptomycin is absolutely contraindicated in pregnant female